Time dependent killing is shown by
1. Aminoglycosides
2. Fluoroquinolones
3. Linezolid
4. All of the above

Correct answer: 3. Linezolid

Explanation: Ans. 'c'i.e., Linezolid.Some, antimicrobial drugs have time dependent effect while others have concentration dependent effects :Time dependent affect - Action depends on length of time concentration remains above MIC, linezolid, tetracycline, and streptogramin.Concentration dependent effect e.g. for macrolides beta-Lactam, clindamycin,